1st Branchial cleft anomaly
1. Amotia
2. Pre-Auricular sinus
3. Call-Aural fistulo
4. Absence of Tragus

Correct answer: 3. Call-Aural fistulo